Serum marker of rickets is -
1. Acid phosphates
2. Alkaline phoshpatase
3. Decreased serum calcium
4. Urinary posphates

Correct answer: 2. Alkaline phoshpatase

Explanation: Ans. is 'b' i.e., Alkaline phosphataseo Amongst the given options, alkaline phosphatase is best because it is raised in all type of rickets.o The primary (Basic) investigations in a child of rickets are :?Serum calciumSerum phosphorusAlkaline phosphataseo If patient does not respond to calcium and Vit D therapy, secondry investigations are done :?Vit D levelSerum PTHUrinary calcium and phosphorus.